Distichiasis is ?
1. Abnormal inversion of eyelashes
2. Abnormal extra row of cilia
3. Abnormal eversion of eyelashes
4. Misdirected cilia

Correct answer: 2. Abnormal extra row of cilia

Explanation: Ans. is 'b' i.e., Abnormal extra row of eye lashes Eyelash abnormalities are as follows: Trichiasis i.e., misdirected cilia rubbing the eyeball. Common causes are trachoma, blepharitis, stye and lid trauma Distichiasis i.e., an abnormal extra row of cilia taking place of meibomian glands. Madarosis i.e., absence of cilia may be seen in patients with chronic blepharitis, leprosy and myxoedema. Poliosis i.e., greying of cilia is seen in old age and also in patients with Vogt-Koyanagi- Harada's disease.